Ultrasonogram is not useful in:
1. CBD stones at the distal end of the CBD
2. Breast cyst
3. Ascites
4. Full bladder

Correct answer: 1. CBD stones at the distal end of the CBD

Explanation: Ans. CBD stones at the distal end of the CBD